Antibiotic that achieves high concentration in Hard tissue, because of its molecular size is
1. Ceftum
2. Ciprofloxacin
3. Clindamycin
4. Erythromycin

Correct answer: 3. Clindamycin